Which of the following artery supplies the Midgut?
1. Aorta
2. Celiac trunk
3. Superior mesenteric artery
4. Inferior mesenteric artery

Correct answer: 3. Superior mesenteric artery

Explanation: Superior mesenteric artery is the artery of midgut, it supplies the gastrointestinal tract from the middle of the second part of duodenum till the distal one third of the transverse colon. Must know:Celiac artery is the artey of foregut and inferior mesenteric aretey is the artery of hindgut. All these three arteries are the anterior branches of the abdominal aorta.Ref: Snell's, Clinical Anatomy, 7th Edition, Page 260.